Medulla is supplied by all except?
1. Basilar artery
2. Anterior spinal artery
3. Vertebral artery
4. Posterior cerebral artery

Correct answer: 4. Posterior cerebral artery

Explanation: Posterior cerebral artery